Visible range of electromagnetic spectrum of human eye-
1. 370 - 740 nm
2. 740 -1140 nm
3. 200 - 370 nm
4. 570 - 770 nm

Correct answer: 1. 370 - 740 nm

Explanation: As perceived by the human eye; light consists of there wavelengths of electromagenatic radiation (approximately 400-700 mm) which are capable of eliciting retinal response.